Folinic acid counteracts the toxicity of :
1. Doxorubicin
2. Methotrexate
3. Cyclophosphamide
4. Fluorouracil

Correct answer: 2. Methotrexate